Human development index includes A/E :
1. Crude death rate
2. Education
3. Life expectancy at birth
4. GDP

Correct answer: 1. Crude death rate

Explanation: Ans. is 'a' i.e. Crude Death Rate Human development index : includesLongevity (Life expectancy at birth)knowledge (adult literacy rate and mean years of schooling)Income (reveal GDP per capita in purchasing power parity in US Dollars).* HDI values ranges between 0 to 1. the HDI value for a country shows the distance that it has already travelled towards maximum possible value to 1.Physical quality of life index includes*infant mortalitylife expectancy at age oneliteracy